Collagen most commonly contains which of the following amino acid:
1. Proline and hydroxyproline
2. Cysteine and cysteine
3. Glycine and cysteine
4. Methionine and proline

Correct answer: 1. Proline and hydroxyproline

Explanation: Ans. a. Proline and hydroxyprolineAMINO ACIDS REQUIRED FOR SPECIAL PRODUCTSSpecial productAmino acid requiredCollagenGlycine +Proline+HydroxyprolineElastinGlycine+Alanine+Valine+ProlineCreatineGlycine+Arginine+MethioninePurineGlycine+Aspartate+Glutamine+SerinePyrimidineAspartate+GlutamineGlutathioneGlycine+Cysteine+GlutamateHistoneArginine+HistidineCarnosineb-alanine+HistidineHemoglobinHistidine+Arginine+LysineKeratinHistidine:Arginine:Lysine=1:12:4CholineMethionine+Glycine+Serine+B6CarnitineLysine+Methionine